A 45-year-old female is diagnosed as a case of pneumococcal meningitis. Her blood sample were sent for culture sensitivity. In the mean time best drug to start as an empirical treatment is -
1. Penicillin G
2. Doxycycline
3. Streptomycin
4. Vancomyin + Ceftriaxone

Correct answer: 4. Vancomyin + Ceftriaxone